Tissue suturing glue contains-
1. Cyanoacrylate
2. Ethanolamine oleate
3. Methacrylate
4. Polychloroprene

Correct answer: 1. Cyanoacrylate

Explanation: Ans. is 'a' i.e., Cyanoacrylate o Most tissue adhesives or glue are cyanoacrylate polymers, such as n-butyl-2-cyanoacrylate (eg, Histoacryl - PeriAcryl -) or 2-octyl cyanoacrylate (eg, Dermabond - Surgiseal).o Cyanoacrylate tissue adhesives are liquid monomers that undergo an exothermic reaction on exposure to moisture (eg, on the skin surface), changing to polymers that form a strong tissue bond. When applied to a laceration, the polymer binds the wound edges together to allow normal healing of the underlying tissue,o Compared with wounds closed with sutures, the tensile strength of wounds closed by tissue adhesives is less at the time of initial application, but equalizes by one week post-repair.Advantages:o Less painful application, and sometimes no need for local anesthetic injectiono More rapid application and repair timeo Cosmetically similar results at 12 months post-repairo Waterproof barriero Antimicrobial propertieso Better acceptance by patientso No need for suture removal or follow-upIndications and contraindications:o For use of tissue adhesives the wound needs to be clean, dry with near perfect hemostasis and under no tension,o Complex stellate lesions or crush injuries should not be closed with tissue adhesives since good wound approximation is difficult to achieve.o Tissue adhesives are not recommended for lacerations of the hands, feet, or joints, since repetitive movements could cause the adhesive bond to break before sufficient tensile strength is achieved.o Tissue adhesives are not recommended for the oral mucosa or other mucosal surfaces or areas of high moisture such as the axillae and perineum.o Lacerations involving the hairline or vermilion border require more precision, and should be repaired with traditional sutures.